Time interval betw een inoculation of infection to maximum infectivity is -
1. Lead time
2. Median incubation period
3. Generation time
4. Serialinverval

Correct answer: 3. Generation time

Explanation: Ans. is 'c' he., Generation time o Generation time - Period from receipt of infection to maximal infectivity.o Serial interval - Gap between onset of primary case and secondary case.